Which of the following is false regarding systemic juvenile idiopathic arthritis (sJIA)?
1. RA factor positive
2. High fever with rash
3. Hepatosplenomegaly
4. Elevated ESR

Correct answer: 1. RA factor positive

Explanation: Rheumatoid arthritis (RA) factor is negative in systemic-onset JIA ; it is positive in polyarthritic type of JIA. Ref: Nelson textbook of pediatrics 21st edition. Pgno: 1260